Treatment of congenital cataract is –
1. Needing and aspiration
2. Intracapsular extraction
3. Extracapsular extraction
4. Cryotherapy

Correct answer: 3. Extracapsular extraction

Explanation: Extracapsular cataract extraction (ECCE) with primary posterior capsulectomy and anterior vitrectomy is the procedure of choice (via limbal or pars plana approach). This is done by phacoemulsification.
The needling operation (which was performed in the past) is now obsolete.